Very low birth weight babies are –
1. < 2500 gm of birth weight
2. < 1500 gm of birth weight
3. < 1000 gm of birth weight
4. Between 2500–3000 gm of birth weight

Correct answer: 2. < 1500 gm of birth weight